Corporobasal index is used to determine:
1. Age
2. Sex
3. Race
4. Stature

Correct answer: 2. Sex

Explanation: Ans. Sex